Which of these is a delayed complication of massive bleeding secondary to placenta previa?
1. Menorrhagia
2. Galactorrhea
3. Diabetes insipidus
4. Cushing disease

Correct answer: 3. Diabetes insipidus

Explanation: Sheehan's Syndrome: It occurs due to Pituitary ischemia and necrosis a/w obstretical blood loss Affected women may have persistent hypotension, tachycardia, hypoglycemia, and failure of lactation due to hypopituitarism. Diabetes insipidus with or without anterior pituitary deficiency has been described following massive obstetrical hemorrhage and prolonged shock The classical case is characterized by failure of lactation, amenorrhea, breast atrophy, loss of pubic and axillary hair, hypothyroidism, and adrenal cortical insufficiency